All are features of the hemolytic uremic syndrome, except-
1. Hyperkalemia
2. Anaemia
3. Renal microthrombi
4. Neuro psychiatric disturbances

Correct answer: 4. Neuro psychiatric disturbances

Explanation: HUS(hemolytic uremic syndrome) caused by insults that lead to the excessive activation of platelets, which deposit as thrombi in microcirculatory beds. These intravascular thrombi cause microangiopathic hemolytic anemia and widespread organ dysfunction, and the attendant consumption of platelets leads to thrombocytopenia. Ref: RAM DAS NAYAK EXAM PREPARATORY MANUAL FOR UNDERGRADUATES 2nd ed. pg no: 499